When group of muscles of dead body were in state of strong contration immediately prior to death and remain so even after death, this is termed as ?
1. Gas stiffening
2. Rigor mortis
3. Cadaveric spasm
4. Cold stiffening

Correct answer: 3. Cadaveric spasm

Explanation: Ans. is 'c' i.e., Cadaveric spasm Cadaveric spasm (instantaneous rigor) is defined as the condition wherein a group of muscles, which were in contraction or spasm at the time of death, continue to be in spasm even after death, without the stage of primary relaxation.